Coma due to cerebral hypoxia is treated by-
1. Analeptics
2. Steroids
3. CO2-O2 mixture
4. 100% PO2

Correct answer: 4. 100% PO2

Explanation: (D) 100% O2 Coma due to cerebral hypoxia is treated by 100% 02